Disulfiram like reaction is commonly caused by which of the following:
1. Penicillin
2. metronidazole
3. Tetracycline
4. erythromycin

Correct answer: 2. metronidazole

Explanation: Ans. B: Metronidazole Drugs causing Disulfiram like reaction Metronidazole Cefamandole Cefoperazone Chlorpropamide Sulfonylureas Quinacrine Griseofuvin Chloramphenicol Tinidazole Procarbazine Ritonavir Nitrofurantoin Chloramphenicol Chloral hydrate